Krukenburg tumor originate from:
1. Liver
2. Stomach
3. Ovary
4. Gallbladder

Correct answer: 2. Stomach

Explanation: Ans. (b) StomachRef.: Bailey & Love 26th ed. ch 63/1050